Most common nodule found in the liver is
1. Hepatoma
2. Haraoma
3. Hemangioma
4. Cholangiodenoma

Correct answer: 3. Hemangioma

Explanation: Hemangioma Most common benign tumor of the liver Mainly seen in women of 45 years Small capillary hemangiomas(no clinical significance), larger cavernous hemangioma Usually single and <5 cm in diameter, occur equally in right and left liver Giant hemangioma: lesion>5cm Ref:Sabiston 20th edition Pgno :1456-1457